Honey comb liver is seen in
1. Micronodular cirrhosis
2. Dubin-Johnson syndrome
3. Actimomycosis
4. Hydatidosis

Correct answer: 3. Actimomycosis

Explanation: The liver is the "primary" site of infection in 15% with abdominal actinomycosis." Presumably, Actimomyces are conveyed to the liver by the portal vein. The lesion develops after appendicitis or surgery for noninflammatory diseases in most instances,4-6 but there are reports in which the pathogenesis is un- Clear.'.' The most common hepatic lesion is a solitaryabscess, though multiple abscesses also occur. A honeycomb appearance in cross-section suggest an origin of the abscess from multiple, smaller ones. Abscesses are usually confined to the liver, but may extend to involve adjacent organs and even to reach the pleural space.",'" Liver abscesses can rarely arise by direct extension from such foci as an abscess in the neck."